Objects are seen reduced in size in
1. Hypnagogic hallucinations
2. Lilliputian hallucinations
3. Psychomotor hallucinations
4. Haptic hallucinations

Correct answer: 2. Lilliputian hallucinations

Explanation: Lilliputian hallucinations (micropsia) objects are seen reduced in size. It is more properly regarded as an illusion Ref: FORENSIC MEDICINE AND TOXICOLOGY Dr PC IGNATIUS THIRD EDITION PAGE 360